Hirschsprung colon is due to ?
1. Muscle atrophy in muscularis mucosa
2. Loss of intrinsic enteric plexuses
3. Loss of extrinsic nerve supply
4. None

Correct answer: 2. Loss of intrinsic enteric plexuses

Explanation: Ans. is 'b' i.e., Loss of intrinsic enteric plexuses Pathogenesis of Hirchsprung disease The entric neuronal plexuses develops from neural crest cells, which migrate into the bowel wall during development, mostly in a cephalad to caudad direction. Hirschsprung disease results when the migration of neural crest cells arrests at some point before reaching the anus - inappropriate premature death. This produces an intestinal segment that lacks both meissner submucosal and aurebach myenteric plexus. Loss of enteric neural coordination leads to functional obstruction and intestinal dilation proximal to the affected segment.